Per capita space for students is a classroom should not be less than _____ sq. Feet-
1. 5
2. 10
3. 20
4. 50

Correct answer: 2. 10

Explanation: parks textbook of preventive and social medicine 23rd edition * percapita space for students in a classroom should not be less than 10sq.ft.